Abbey estlander flap is used for
1. Lingual artery
2. Facial artery
3. Labial artery
4. Internal maxillary artery

Correct answer: 3. Labial artery